Commonest congenital heart disease is:
1. Mitral valve prolapse
2. Atrial septal defect
3. Ventricular septal defect
4. Persistent ductus arteriosus

Correct answer: 3. Ventricular septal defect

Explanation: VSD is the most common congenital cardiac defect.